Minimum interval between 2 live vaccine immunization ?
1. 2 weeks
2. 4 weeks
3. 6 week
4. 8 weeks

Correct answer: 2. 4 weeks

Explanation: Ans. is 'b' i.e., 4 weeks Basic principle of immunezation Minimum 4 weck interval recommended between 2 live vaccine adminstration except OPV and oral thyphoid. Two or more killed vaccine may be administrated simultaneously or at any given interval A live and killed vaccine given simultaneously but at different site. If immunisation status unknown, give age appropriate vaccine Mixing of vaccine in same syringe not recommended Live vaccine should be avoided in AIDS,